Karyotyping of the foetus may be done from all of the following except -
1. Lymphocyte
2. Monocyte
3. Amniocyte
4. Fibroblast

Correct answer: 2. Monocyte

Explanation: Although human chromosome may be visualized (karyotyping) in any growing tissue such as bone marrow, skin, fibroblast, amniotic fluid cells or chorionic villus; they are most conveniently studied in peripheral blood lymphocytes.